Point A in radiotherapy for carcinoma cervix corresponds to
1. Lateral pelvic lymph nodes
2. Urinary bladder
3. Rectum
4. Uterine vessel crossing the ureter

Correct answer: 4. Uterine vessel crossing the ureter